The most common neurologic abnormality that occurs with head injury is:
1. Hemiplegia
2. Ocular nerve palsy
3. Altered consciousness
4. Convulsion

Correct answer: 3. Altered consciousness

Explanation: Ans. (c) Altered consciousness Signs of Head injury* Sudden loss of consciousness (Most common neurological abnormality)* Convulsions* Sudden dilatation of one pupil (Anisocori) - Omnious sign* Abnormal posture (Decorticate posture) - in Diffuse Axonal Injury* High ICP